Periodicity is a characteritic featurw in which sinus infection:
1. Maxillary sinus infection
2. Frontal sinus infection
3. Sphenoid sinus infection
4. Ethmoid sinus infection

Correct answer: 2. Frontal sinus infection

Explanation: Pain of frontal sinusitis shows characteristic periodicity,i.e comes upon walking,gradually increases and reaches its peak by midday and then starts subsiding. It is also called office headache as it is present only during office hours. Ref Dhingra 6/e p 192